One of the following condition is not associated with clubbing -
1. Primary biliary cirrhosis
2. Chronic bronchitis
3. Cryptogenic fibrosing alveolitis
4. Central bronchiectasis

Correct answer: 2. Chronic bronchitis